From the sweat gland secretions along with acetylcholine what is released
1. Neuro peptide Y
2. Enkephalin
3. Vaso active intestinal peptide
4. Substance P

Correct answer: 3. Vaso active intestinal peptide

Explanation: Sweat is secreted from sweat glands It lowers body temperature and helps in excretion of urea ,salts ,sugar and ammonia Ref:Guyton and Hall textbook of medical physiology 12th edition,page number: 858